Most common fungus causing chronic meningitis is:
1. Blastomyces
2. Cryptococcus neoformans
3. Histoplasma
4. Coccidioidomycosis

Correct answer: 2. Cryptococcus neoformans

Explanation: Ans. B: Cryptococcus neoformans Chronic meningitis is usually due to infection, most commonly tuberculosis. Infectious organisms invade the brain or the subarachnoid space and multiply slowly over weeks or months. Such organisms include the bacteria that cause tuberculosis or syphilis and fungi such as Cryptococcus neoformans or Coccidioides immitis. These fungi are more likely to cause chronic meningitis in people with a weakened immune system, such as those with human immunodeficiency virus (HIV) infection or acquired immunodeficiency syndrome (AIDS).